Which of the following does not handle the oxidative damage in lens?
1. Vitamin A
2. Vitamin C
3. Glutathione
4. Catalase

Correct answer: 1. Vitamin A

Explanation: Glutathione, Catalase, Superoxide dismutase and Ascorbic acid (vitamin C) have been specially mentioned as true radical scavengers in relation to lens. Vitamin E (tocopherol) and J3 carotene are present in low levels in aqueous humor and may play a role in antioxidant mechanism in the lens. Ref: Parson's Diseases of the Eye 20th Edition, Page 248; Harper's Biochemistry 27th Edition, Page 612.